An 18 years female complaining of breathlessness fainting and tingling sensation over lips. She has history of similar episodes in past. What is the diagnosis
1. Myocardial infarction
2. ARDS
3. Upper respiratory tract infection
4. Hyperventilation

Correct answer: 4. Hyperventilation

Explanation: Answer- D. HyperventilationTingling around mouth (over lips) is seen in hyperventilation due to hypocalcemia.Symptoms of hyperventilation include-Abdominal symptoms (due to swallowing of excess air): bloating, burping, excessive flatusCNS symptoms (due to dcrease PCO2): weakness,fainting confusion, dizziness, restlessness, anxiety, panic attack.Due to hypocalcemia: numbness & tingling around mouth & in limbs, corpopedal spasm, muscle twiching, tetanyChest symptoms : chest pains, shortness of breath & breathlessness, wheezing, tachypnea.